Dental caries is caused by -
1. Streptococcus pyogenes
2. Streptococcus mutans
3. Enterococcus
4. H. influenzae

Correct answer: 2. Streptococcus mutans

Explanation: Ans. is 'b' i.e., Streptococcus mutans . Streptococcus mutans belongs to viridans streptococci and is an important cause of dental caries.